A crowd obeying the orders of the leader is
1. Mob
2. Herd
3. Band
4. Crowd

Correct answer: 2. Herd